For transplantation, cornea is preserved in –
1. Modified MK medium
2. Glycerine medium
3. Wet medium
4. None of the above

Correct answer: 1. Modified MK medium

Explanation: Media for hypothermia (4°C) storage of cornea are MK medium (short term) and optisol 65 (Intermediate term).